Galton's system is used for -
1. Dactylography
2. Poroscopy
3. Ridgeology
4. None

Correct answer: 1. Dactylography

Explanation: Dactylography (Galton's system) → Study of finger prints.
Poroscopy (Locard's system) → Study of number, sizes and distribution of pores of sweat glands on ridges (used when only a part of the finger print is available).
Program → Study of the footprint.
Cheiloscopy (queiloscopy) → Study of lip prints.
Rugoscopy (Palatoprints) → Study of the anterior part of the palate.